Collarette of scales is a feature of:
1. Acne
2. Psoriasis
3. Pityriasis rosacea
4. Pemphigus

Correct answer: 3. Pityriasis rosacea

Explanation: Pityriasis rosacea